Best method to monitor intracranial pressure is
1. Intraventricular catheter
2. Subarachnoid bolt
3. Intraparenchymal catheter
4. Epidural cathetar

Correct answer: 1. Intraventricular catheter

Explanation: The intraventricular catheter is the most accurate monitoring method.of intracranial pressure The catheter is inserted through the brain into the lateral ventricle. This area of the brain contains liquid (cerebrospinal fluid or CSF) that protects the brain and spinal cord. Ref Harrison20th edition pg 2234